Tuberculin positivity means:
1. Immunodeficiency
2. Resistance to tubercular protein
3. Infection with mycobacterium
4. Patient suffering from disease

Correct answer: 3. Infection with mycobacterium

Explanation: Infection with mycobacterium